According to the Bismuth / Strasberg classification 'Cystic blow out' is classified as:
1. Type A
2. Type B
3. Type C
4. Type D

Correct answer: 1. Type A

Explanation: Cystic blow out' is a type of biliary duct injury in cholecystectomy patient. According to Strasberg classification it falls into Type A injury. Ref: Complication in Surgery By Michael W. Mulholland, Gerard M. Dohe, 2nd Edition, Page 432